Estimation of age done after 25 years with changes in teeth is by
1. Galton system
2. Bertillon system
3. Gustafsan's method
4. Pearson's formula

Correct answer: 3. Gustafsan's method

Explanation: (C) Gustafsan's method > Gustafson's Method: The age estimation of adult over 25 years depends on the physiologic age changes in each of the dental tissue.